Barrett's esophagus causes which cancer:
1. Adenocarcinoma
2. Squamous cell CA
3. Carcinoid tumor
4. Esophageal leiomyoma

Correct answer: 1. Adenocarcinoma

Explanation: Ans. (a) AdenocarcinomaRef: Harrison's 17th ed. Ch. 286* Metaplastic columnar epithelium develops during healing of erosive esophagitis with continued acid reflux since columnar epithelium is more resistant to acid- pepsin damage than is squamous epithelium.* The metaplastic epithelium has different epithelial types, including goblet cells and columnar cells.* Finding intestinal metaplasia with goblet cells in the esophagus is diagnostic of Barrett's esophagus; this type of mucosa is thought to be at risk of cancer